Phase II blocker is seen in:
1. D-TC
2. Cocaine
3. Scoline
4. Vencuronium, ether, N20

Correct answer: 3. Scoline

Explanation: C i.e. Scoline